The anopheles species most commonly found in urban areas is:
1. Anopheles philippinensis
2. Anopheles stephensi
3. Anopheles flutilifs
4. Anopheles minimus

Correct answer: 2. Anopheles stephensi

Explanation: Anopheles stephensi